The half-life of oxytocin is
1. 2-3 min
2. 3-5 min
3. 5-6 min
4. 7-8 min

Correct answer: 2. 3-5 min

Explanation: OxytocinIn general, oxytocin should be discontinued if the number of contractions persists with a frequency of more than five in a 10-minute period or more than seven in a 15-minute period or with a persistent nonreassuring fetal heart rate pattern.When oxytocin is stopped, its concentration in plasma rapidly falls because of the half-life is approximately 3 to 5 minutes.Ref: William's Obstetrics; 25th edition